Murmur increasing with valsalva maneouvre aEUR'
1. Mitral stenosis
2. HOCM
3. VSD
4. Aortic stenosis

Correct answer: 2. HOCM

Explanation: HOCM EFFECT OF VARIOUS INTERVENTIONS ON SYSTOLIC MURMURS